What is the treatment of Choice for Idiopathic Thrombocytopenic Purpura
1. Steroids
2. IV immunoglobin
3. Blood transfusion
4. Splenectomy

Correct answer: 1. Steroids

Explanation: Medical Treatment of ITP:- * The treatment of choice is medical- oral prednisolone 1mg/kg produces dramatic response in 50-70% cases. * Intravenous immunoglobin is indicated for internal bleeding. Refractory ITP:- * Failure of initial therapy mentioned above. * Rituximab given IV * Thromboplastin Receptor antagonists- Eltrombopag and Romiplostim Splenectomy Indications :- * Most common indication for elective splenectomy * For patients with low platelet count should have platelets available at surgery but should be infused only after ligating the pedicle. * Should not be given preoperatively Ref:- Surgery Sixer 3rd Edition; pg num:- 724